Which of the following statements is true of cholera enterotoxin?
1. Appears to produce its effect by stimulating adenyl cyclase activity in mucosal cells
2. Causes destruction of the intestinal mucosa allowing for invasive infection
3. Causes a net efflux of ions and water from tissue into the lumen of the large intestine
4. Is a protein with a molecular weight of about 284,000

Correct answer: 1. Appears to produce its effect by stimulating adenyl cyclase activity in mucosal cells